All are true regarding bleaching powder, except ?
1. Contains about 33% of available chlorine
2. It is a stable compound
3. White amorphous compound
4. Strong bleaching agent

Correct answer: 2. It is a stable compound

Explanation: Ans. is 'b' i.e., It is a stable compound Bleaching powder :? Bleaching powder is also known as chlorinated lime. o It is a disinfectant mainly used for disinfecting o Water Faeces o It kills most of the organism when used in strength of 1 to 3% o The chief drawback of bleaching powder is that it is an unstable compound and loses its chlorine content on storage. o Its action is rapid and brief. o A good sample of bleaching powder contains 33% of"available chlorine". It is a white amorphous powder with a pungen smell of chlorine. When mixed with excess of lime it retains its strength, this is called stabilized bleach. Bleaching powder should he stored in a cool dry place.